Which among the following is the earliest symptom of acoustic neuroma in a young female?
1. Deafness
2. Tinnitus
3. Vertigo
4. Facial weakness

Correct answer: 1. Deafness

Explanation: Acoustic neuroma is also known as vestibular schwannoma, neurilemmoma or eighth nerve tumor. Progressive unilateral sensorineural hearing loss is the presenting symptom. It is often accompanied by tinnitus. There is marked difficulty in understanding speech, out of proportion to the pure tone hearing loss. This feature is characteristic of acoustic neuroma.